A 20 year old man complains of difficulty in reading the newspaper with his right eye, three weeks after sustaining a gun shot injury to his left eye. The most likely diagnosis is -
1. Macular edema
2. Sympathetic ophthalmitis
3. Optic nerve avulsion
4. Delayed viterous hemorrhage

Correct answer: 2. Sympathetic ophthalmitis

Explanation: Symptoms in sympathizing eye usually develop after 4-8 weeks of injury to exciting eye. However, it can also develop early, earliest reported case is after 9 days of injury.